Which inhibits gastric secretion?
1. Secretin
2. High gastric pH
3. Insulin
4. Calcium

Correct answer: 1. Secretin